Hypertension and pulmonary edema associated with scorpion sting is managed by :-
1. Carvedilol
2. Prazosin
3. Spironolactone
4. Phentolamine

Correct answer: 2. Prazosin

Explanation: Scorpion sting cause excessive stimulation of alpha 1 receptor. Of the above mentioned drug:- Prazosin acts by blocking alpha 1 receptor. Therefore drug of choice for Scorpion sting is Prazosin. Carvedilol : Non selective b antagonist that also blocks alpha adrenoreceptor Spironolactone: Direct antagonist of aldosterone, thereby preventing salt retention, myocardial hypertrophy and Hypokalemia. Phentolamine : produce a competitive block of alpha1 and alpha 2 receptor.